Which of the following gene is associated with encoding of reverse transcriptase -
1. Pol
2. Env
3. Gag
4. LTR

Correct answer: 1. Pol

Explanation: The pol gene codes for polymerase reverse transcriptase and otger viral enzymes such as protease and endonuclease. REF:ANANTHANARAYAN AND PANIKER'S TEXTBOOK OF MICROBIOLOGY 9TH EDITION PAGE NO-572